TH1 is involved in w hich type of hypersensitivity?
1. Type 1
2. Type 2
3. Type 3
4. Type 4

Correct answer: 4. Type 4

Explanation: * Delayed type of hypersensitivity is mediated by T cell dependant effector mechanisms involving both CD4+ TH1 cells and CD8 Cytotoxic T cells.* Antibodies do not play a role in type IV hypersensitivity reactions. The activated TH1 cells release Cytokines that will cause accumulation and activation of macrophages which will cause local damage.* TH 2 cells release IL-4 and are involved in Type 1 Hypersensitivity reaction.